A young girl is admitted with joint pains and butterfly rash and positive urine proteinuria. The best test for her diagnosis is ?
1. Anti ds-DNA antibody
2. Anti-centromere antibody
3. Antibodies to RNP
4. Antibodies to tRNA synthetase

Correct answer: 1. Anti ds-DNA antibody

Explanation: Ans. is 'a' i.e., Anti ds-DNA antibody o Association of antibodies with disease activity.# Anti ds-DNA antibody is-increased risk oj nephritis in cases oj SLE.# Anti centromere ab is-limited scleroderma.# Antibodies to RNP is-CNS lupus.# Antibodies to tRNA synthetase-polymyositis with interstitial lung disease.